True about Henoch-schonlein pupura -
1. Palpable pupura
2. Thrombocytopenia
3. C-ANCA positive
4. All

Correct answer: 1. Palpable pupura

Explanation: Ans. is 'a' i.e., Palpable pupura